Chocolate agar is -
1. Basal medium
2. Enrichment medium
3. Enriched medium
4. Simple medium

Correct answer: 3. Enriched medium

Explanation: Ans. is 'c' i.e., Enriched medium Type of mediumName of mediumLaboratory useLiquid Media A. Basal (simple)1 Peptone waterRoutine culture, basal medium for sugar fermentation testRoutine culture2. Nutrient brothB. Special (complex) a. Enrichedb. Enrichment1. Glucose broth1. Robertson's cooked meat medium2 Tetrathionate broth3, Selenite F broth4. Thioglycolate broth5. Alkaline peptone waterBlood cultureCulture of anaerobic bacteriaEnrichment culture for salmonellaEnrichment culture for Salmonella & shigellaC ulture of anaerobic bacteriaEnrichment culture for vibrioSolid mediaA. SimpleNutrient agar (2-3% agar)Routine cultureB. Speciala. Enriched1. Blood agar (also indicator media)2 Chocolate agar3. Loefflers serum4. Dor sett's eggGeneral culture, Streptococcus; Most widely used mediumCulture of H.influenzae, N. gonorrheaeCulture ofC. DiptheriaeCulture of Mycobacteriab. Selective (contains inhibitory substance1. MacConkey agar (also indicator and differential mediumEnterobacteria (Lactose fermenters produce pink colonies)2. Deoxycholate citrate agar (DCA)Selective medium for Salmonella and Shigella3. Lowenstein Jensen (LJ)Culture of M. tuberculosis